Lens capsule is thinnest at
1. Anterior pole
2. Posterior Pole
3. Laterally
4. Equator

Correct answer: 2. Posterior Pole

Explanation: Lens capsule is thinnest at posterior pole. Lens capsule is a thin, transparent, hyaline membrane surrounding the lens which is thicker over the anterior than the posterior surface. Lens capsule is thickest at previa equator region and thinnest at the postrior pole.